When instead of interdental bone, adjacent tooth is used as fulcrum is :
1. Stobie's extraction.
2. Balancing extraction.
3. Both
4. Wilkinson extraction

Correct answer: 1. Stobie's extraction.

Explanation: Stobie’s extraction
When instead of interdental Bone, the Adjacent tooth is used as Fulcrum.
2 teeth -> luxated - simultaneously